With which one of the following lower motor neuron lesions are associated?
1. Flaccid paralysis
2. Hyperactive stretch reflex
3. Spasticity
4. Muscular incoordination

Correct answer: 1. Flaccid paralysis

Explanation: Ans. A. Flaccid paralysisa. The lower motor neuron may be injured or diseased in the cranial nerve nuclei or spinal anterior horn cells, in the anterior nerve root, or in the nerves themselves.b. A common acute lesion of anterior horn cell used to be poliomyelitis in which fever was accompanied by signs of meningeal irritation. In a few days a flaccid paralysis occurred.